Sleep pattern seen in mania is
1. Hypersomnia
2. Insomnia
3. Decreased need for sleep
4. Somnambuslism

Correct answer: 3. Decreased need for sleep

Explanation: A person in mania is hyperactive so that he has decreased need for sleep.